Non-visualization of Gallbladder is a feature seen in case of Acute cholecystitis in which of the following investigations?
1. HIDA scan
2. USG abdomen
3. CECT abdomen
4. MRCP

Correct answer: 1. HIDA scan

Explanation: Acute cholecystitis on HIDA scan - failure to visualise gall bladder even after 60 min / delayed visualisation after 4 hrs